Antidote of MgSO4 is
1. Vit K
2. Calcium gluconate
3. Insulin and dextrose
4. NaHCO3

Correct answer: 2. Calcium gluconate

Explanation: Ans: b (Calcium gluconate) Ref: Dutta, 6th ed, p. 236; Davidson, 20th ed, p. 441Management of hyper magnesemia:Stop magnesium.Promote urinary excretion by loop diuretic with IV hydration in RFT normal cases.IV calcium gluconate to reverse overt cardiac effects.Dialysis if renal function is minimal.Magnesium sulphate:Drug of choice in pre-ecclampsiaMechanism of action:1. Reduction of motor end plate sensitivity to acetyl choline.2. It blocks neuronal calcium influx.3. Induces cerebral vasodilation.Adverse effects:Maternal - flushing, headache, muscle weakness, diplopia, pulmonary edema, cardiac arrest.Fetal and neonatal - lethargy, hypotonia and respiratory depression.